A 60 year old man presents with chest pain with last 6 hours and is diagnosed as acute myocardial infarction. Angiography showed involvement of anterior descending branch of left coronary artery. The most probable site of infarct is :
1. Anterolateral wall
2. Posterior wall
3. Inferior wall
4. Septal

Correct answer: 1. Anterolateral wall

Explanation: Answer is A (Anterolateral wall) Occlusion of anterior descending branch of lefi coronary artery leads to infarction of anterior wall of LV with or without involvement of the septum The site of involvement of Arteries and the corresponding sites of myocardial lesions: Left anterior descending artery (40-50%) Anterior wall of left ventricle near apex Ant. portion of ventricular septumdeg Apex Circumferentiallydeg Right coronary artery (30-40%) Inf post. wall of left ventricledeg Post. portion of ventricular septaedeg Inf post. right ventricular free Left circumflex artery (15-20%) Lateral wall of left ventricle except at apexdeg